In SLE, characteristic kidney lesion is -
1. Mesangial proliferation
2. Tubular fibrin deposits
3. Wire loops
4. IgG deposits

Correct answer: 3. Wire loops